Long–term use of which diuretic agent can result in gynaecomastia ?
1. Amiloride
2. Spironolactone
3. Triamterene
4. Acetazolamide

Correct answer: 2. Spironolactone